Thyroglossal fistula develops due to:
1. Developmental anomaly
2. Injury
3. Incomplete removal of thyroglossal cyst
4. Inflammatory disorder

Correct answer: 3. Incomplete removal of thyroglossal cyst

Explanation: Ans. (c) Incomplete removal of thyroglossal cystRef: Bailey and Love 26th edition, Page 701Thyroglossal fistula:* Presents as midline discharging sinus.* It is never Congenital - Always acquired.* Caused by Infection, Inadequate removal or TG cyst or Inappropriate I and D by mistake.* Complete excision of tract with Central part of hyoid bone is the TOC (Sistrunk Operation)